Levosimendan is approved in
1. Heart failure
2. Kidney failure
3. Liver failure
4. Endocrine crisis

Correct answer: 1. Heart failure

Explanation: Levosimendan is a calcium sensitizer -- it increases the sensitivity of the heart to calcium, thus increasing cardiac contractility without a rise in intracellular calcium.Has been approved for use in acute cardiac failure in EuropeKatzung 13e pg: 220